Which of the following statements are True/False? 1. Hirsutism, which is defined as androgen-dependent excessive male pattern hair growth, affects approximately 25% of women. 2. Virilization refers to a condition in which androgen levels are sufficiently high to cause additional signs and symptoms. 3. Frequently, patients with growth hormone excess (i.e., acromegaly) present with hirsutism. 4. A simple and commonly used method to grade hair growth is the modified scale of Ferriman and Gallwey. 5. Scores above 8 suggest excess androgen-mediated hair growth.
1. 1, 2, 3 True & 4, 5 false
2. 1, 3, 5 True & 2, 4 false
3. 2, 4, 5 True & 1, 3 false
4. 1, 2, 3, 4 True & 5 false

Correct answer: 3. 2, 4, 5 True & 1, 3 false

Explanation: Here statement 1 & 3 are wrong. It is actually a direct pick from harrison, an important topic for entrance examinations hirsutism is seen in 10% of woman. Acromegaly rarely causes hirsutism. Ref: Harrisons Principles of Medicine, 18th Edition, Pages 380-382